Gleason score is used to grade:
1. Prostate cancer
2. Transitional Cell CA
3. Penile cancer
4. Anal cancer

Correct answer: 1. Prostate cancer

Explanation: Ans. (a) Prostate cancerRef: Bailey 27th Edition, Page 1469* Classification of histological pattern based on the degree of glandular de- differentiation and its relation to stroma has been devised by GLEASON.* Prostate cancers exhibits heterogeneity within the tissue itself and hence two histological areas of prostate are scored each between 1- 5.* The scores are added to an overall score of 2- 10.* Gleason score 2- 10 helps to predict the likelihood of spread and prognosis* Example: Gleason Score of 8-10: High Grade tumor, Poor Prognosis